Conjoint tendon is formed by -
1. External oblique, internal oblique
2. External oblique, transversus abdominis
3. Internal oblique, transversus abdominis
4. All three

Correct answer: 3. Internal oblique, transversus abdominis

Explanation: Aponeurotic fibers of internal oblique and transversus abdominis fuse to form conjoint tendon.